A 33-year-old nurse suffered a needle stick injury. The patient used illicit intravenous drugs. One month later, the nurse developed jaundice. Which of the following finding would implicate hepatitis B as the etiology
1. Positive antihepatitis A antibody
2. Positive hepatitis B surface antigen
3. Positive antihepatitis B-core antibody
4. Positive antihepatitis B surface antibody

Correct answer: 2. Positive hepatitis B surface antigen

Explanation: The presence of hepatitis B surface antigen means actively replicating virus, and in the context of the recent needle stick injury, this likely represents a hepatitis B infection. Ref:- Harshmohan textbook of Pathology